Which of the following laser is used in LASIK
1. Excimer
2. Nd-Yag
3. Argon
4. Krypton

Correct answer: 1. Excimer

Explanation: LASIK : In this technique first a flap of 130-160 micron thickness of anterior corneal tissue is raised with the help of an automated microkeratome. Recently, femtosecond laser is being used for more accurate and smooth flaps. After creating a corneal flap midstromal tissue is ablated directly with an Excimer Laser beam, ultimately flattening the cornea. Reference: A.K.Khurana; 6th edition ; Page no: 53